Not true regarding Sudden infant death syndrome
1. Also known as cot/crib death
2. Threefold increase in twins
3. Incidence common in females
4. Cigarette smoking by pregnant mothers increase the risk

Correct answer: 3. Incidence common in females

Explanation: SIDS / COT DEATH / CRIB DEATH :- It is sudden & unexpected death of seemingly healthy infant whose death remains unexplained even after comp. autopsy. Factors associated with SIDS :- Age = 2 month to 2 years Sex = Male Time = early morning Twins Mother = smoking during pregnancy